Mobile bone of skull ?
1. Maxilla
2. Mandible
3. Ethmoid
4. Sphenoid

Correct answer: 2. Mandible

Explanation: Ans. is 'b' i.e., Mandible